All are anti-craving agents for alcohol except
1. Lorazepam
2. Naltrexone
3. Topiramate
4. Acamprosate

Correct answer: 1. Lorazepam

Explanation: Anti-craving agentsAcamprosate, naltrexone and SSRIs (such as fluoxetine) are among the medications tried as anti-craving agents in alcohol dependence. Acamprosate (the Ca++ salt of N-acetyl-homo taurinate) interacts with NMDA receptor-mediated glutamatergic neurotransmission in the various brain regions and reduces Ca++ fluxes through voltage-operatedchannels. Naltrexone (oral opioid receptor antagonist) probably interferes with alcohol-induced reinforcement by blocking opioid receptors. Fluoxetine (and other SSRIs) have been occasionally used as anti-craving agents in their usual antidepressant doses. Ref: A Short Textbook of Psychiatry, Niraj Ahuja, 7th Edition, pg. no.42 Lorazepam is a benzodiazepine class of drug used for the treatment of alcohol withdrawal.